Irvin Moore sign is positive in
1. Adenoid hypertrophy
2. Acute tonsillitis
3. Chronic tonsillitis
4. Epiglottitis

Correct answer: 3. Chronic tonsillitis

Explanation: Irwin-Moore sign:- Expression of cheesy material from the tonsil, on pressing anterior pillar seen in case of chronic tonsillitis. Ref:- Textbook of ENT, Hazarika; pg num:- 480